Postmenopausal hormone that shows an increase is
1. Progesterone
2. Estrogen
3. FSH
4. Androgen

Correct answer: 3. FSH

Explanation: In postmenopause fsh levels increase Ref: guyton and hall textbook of medical physiology 12 edition page number:636,637,638